Setting time of fast setting alginate:
1. 3-4.5 minutes
2. 1.5-3 minutes
3. 1-2 minutes
4. 2.5-3.5 minutes

Correct answer: 2. 1.5-3 minutes

Explanation: Setting time of Fast-setting alginate = 1.5 to 3 min
Setting time of Normal-setting alginate = 3 to 4.5 min